Zollinger-Ellison syndrome is characterized by all of the following except -
1. Post bulbar ulcer
2. Recurrent duodenal ulcer
3. Severe diarrhea
4. Massive HCL in response to histamine injection

Correct answer: 4. Massive HCL in response to histamine injection

Explanation: Important points that should raise the possibility of ZES in patients with duodenal ulcer.


ulcers in unusual locations i.e. postbulbar ulcers
recurrent or refractory ulcers
ulcers with diarrhoea
multiple ulcers
ulcers associated with prominent gastric folds
ulcers with findings s/o MEN-1 (endocrinopathy, family history of ulcer or endocrinopathy, nephrolithiasis)
ulcers without H. pylori infection